A 50 year old man, known to have diabetes, presents with poor urinary stream, increased frequency of micturation and hesitancy. What is the most likely diagnosis?
1. BPH
2. UTI
3. Atonic bladder
4. Autonomic neuropathy

Correct answer: 1. BPH

Explanation: Although patients of both BPH and autonomic neuropathy presents with symptoms of poor urinary stream and hesitancy, BPH causes increased frequency of micturition . While in autonomic neuropathy, patients are unable to empty the bladder and there is decreased frequency of micturition. So BPH is the correct answer to the question. Ref: Current Surgical Diagnosis & Treatment, By Gerard M. Dohey, Page 1012, 1013